Linker DNA is bound to which of the following histone?
1. H1
2. H2A
3. H2B
4. H3

Correct answer: 1. H1

Explanation: Linker DNA The DNA between two nucleosomes Bound by H1 histone. Made up of 30 base pairs.